Chlamydia is associated with which bodies?
1. Torres bodies
2. Negri bodies
3. Reticulate bodies
4. Bollinger bodies

Correct answer: 3. Reticulate bodies

Explanation: Ans. (c) Reticulate bodies